National AIDS Control Programme was started on
1. 1977
2. 1980
3. 1987
4. 1990

Correct answer: 3. 1987

Explanation: National AIDS control programme was launched in India in the year 1987. Ref: PARK'S TEXTBOOK OF PREVENTIVE AND SOCIAL MEDICINE 23rd edition pg 431